Pyruvate utilisation is decreased in:
1. Pernicious anemia
2. Scurvy
3. Folate trap
4. Beri-beri

Correct answer: 4. Beri-beri

Explanation: PDH complex requires five coenzymes - Vitamin B1, B2, B3, B5 and Lipoic acid. Vitamin B1 deficiency - Beri-beri Beri- beri - |PDH activity - | pyruvate to acetyl-CoA conversion - low pyruvate utilization Vitamins (B1, B2, B3, B5) - decreased energy production and CNS problems (brain cells depend upon this aerobic reaction)